Bones, stones, abdominal groans and psychiatric overtones' are features of
1. Hyperthyroidism
2. Hypothyroidism
3. Hyperparathyroidism
4. Hypoparathyroidism

Correct answer: 3. Hyperparathyroidism

Explanation: The early descriptions of patients with primary hyperparathyroidism were dominated by those with osteitis fibrosa cystica. Brown tumours of the long bones and associated subperiosteal bone reabsorption, distal tapering of the clavicles and the classical 'salt and pepper' erosions of the skull were typical findings. Over 80% of patients had associated renal stones, significant neuromuscular dysfunction and muscle weakness.This led to the traditional mnemonic that patients with PHPT presented with 'bones, stones, abdominal groans and psychiatric overtones'.Currently, most of the patients might be asymptomatic.Ref: Bailey and Love 27e pg: 825